The greater petrosal nerve is formed from -
1. Geniculate ganglion
2. Plexus around ICA
3. Plexus around middle meningeal artery
4. None of the above

Correct answer: 1. Geniculate ganglion